Irregular, bulky and friable vegetation in cardiac valve are a finding of which of the following disorders?
1. Infective endocarditis
2. Rheumatic endocarditis
3. Libman sack endocarditis
4. Non bacterial endocarditis

Correct answer: 1. Infective endocarditis

Explanation: Characteristics includelarge, soft, friable, easily detached vegetations consisting of fibrin and intermeshed inflammatory cells and bacteria. Complications may includeulceration, often with perforation, of the valve cusps or rupture of one of the chordae tendineae. 2. Classification Acute endocarditis is caused by pathogens, such as Staphylococcus aureus (50% of cases). This type of endocarditis is often secondary to infection occurring elsewhere in the body. Subacute (bacterial) endocarditis is caused by less virulent organisms, such as Streptococcus viridans (more than 50% of cases). This type of endocarditis tends to occur in patients with congenital heart disease or preexisting valvular heart disease, often of rheumatic origin. 3. Clinical features a. Valvular involvement The mitral valve is most frequently involved. The mitral valve along with the aortic valve is involved in about 40% of cases. The tricuspid valve is involved in more than 50% of cases of endocarditis of intravenous drug users, in whom endocarditis is most often caused by staphylococcal infection. b. Complications Distal embolization occurs when vegetations fragment. Embolization can occur almost anywhere in the body and can result in septic infarcts in the brain or in other organs. The renal glomeruli may be the site of focal glomerulonephritis (focal necrotizing glomerulitis) caused by immune complex disease or by septic emboli.